Best treatment for enuresis is –
1. Oxybutinin
2. Desmopressin
3. Bed alarm
4. Imipramine

Correct answer: 3. Bed alarm